During gluconeogensis reducing equivalents from mitochondria to cytosol are transported by
1. Malate
2. Aspartate
3. Glutamate
4. Oxaloacetate

Correct answer: 1. Malate

Explanation: A i.e. MalateMallate shuttle is a system by which reducing equivalents (NADH) produced in glycolysisQ are transferred from cytosol to mitochondria to yield energy.NADH produced in the glycolysisQ, is extramitochondrial where as the electron transport chain, where NADH has to be oxidized to NAD+ is in the mitochondria (Oxidation of 1 NADH yields 3 ATP/2.5 ATP). NADH is impermeable to mitochondrial membrane, so to enable transfer of NADH inside mitochondria Shuttle system is utilized.